Hereditary spherocytosis is caused by mutations in:
1. Ankyrin
2. Band 3
3. Spectrin
4. All of the above

Correct answer: 4. All of the above

Explanation: Hereditary spherocytosis is caused by diverse mutations that lead to an insufficiency of membrane skeletal components. The pathogenic mutations most commonly affect ankyrin, band 3, spectrin, or band 4.2, the proteins involved in the first of the two tethering interactions, presumably because this complex is particularly important in stabilizing the lipid bilayer. Ref: Robbins 8th edition Chapter 14.